Km of an enzyme is:
1. Dissociation constant
2. The normal physiological substrate concentration
3. The substrate concentration that produces half maximum velocity
4. Numerically identical for all isozymes that catalyze a given reaction

Correct answer: 3. The substrate concentration that produces half maximum velocity

Explanation: Ans. C. The substrate concentration that produces half maximum velocityThe substrate concentration that produces half maximal velocity (v termed the K value or Michaelis constant)